The transmission of which of the following neurotransmitters is blocked in strychnine  poisoning
1. GABA
2. Glycine
3. Glutamate
4. Ach

Correct answer: 2. Glycine

Explanation: Glycine is a inhibitory neurotransmitter and strychnine competitively antagonizes Glycine.